Anchorage obtained from the nape of the neck represents:
1. Occipital anchorage
2. Cervical anchorage
3. Facial anchorage
4. Parietal anchorage

Correct answer: 2. Cervical anchorage